Which are the hormones seen in zona glomerulosa?
1. Catecholamines
2. Mineralocorticoids
3. Glucocorticoids
4. Androgens

Correct answer: 2. Mineralocorticoids

Explanation: ANSWER: (B) MineralocorticoidsREF: Ganong 22nd ed p. 482See Physiology Post diploma June 2012 for details of Adrenal Gland